The TRUE statement about Dieulafoy's lesion is:
1. The most common location is in the greater curvature of stomach
2. It causes venous bleeding
3. Often recognized only after repeated endoscopy for recurrent bleeding
4. Thermal coagulation is not effective

Correct answer: 3. Often recognized only after repeated endoscopy for recurrent bleeding

Explanation: Dieulafoy's lesion: This lesion is a large-caliber arteriole that runs immediately beneath the gastrointestinal mucosa and bleeds through a pinpoint mucosal erosion. It is seen most commonly on the lesser curvature of the proximal stomach, causes impressive arterial hemorrhage, and may be difficult to diagnose. It is often recognized only after repeated endoscopy for recurrent bleeding. Endoscopic therapy, such as thermal coagulation, is typically effective for control of bleeding. Ref: Harrison, Edition-18, Page-2415.